One of the following drugs does not cause thrombocytopenia:
1. Heparin
2. Phenobarbitone
3. Quinine
4. Thiazide

Correct answer: 2. Phenobarbitone

Explanation: Phenobarbitone